The most frequent complaint of patients shortly after amalgam restorations are placed is:
1. Pain on percussion
2. An open contact point
3. Cold sensitivity
4. Numbness around the gingiva

Correct answer: 3. Cold sensitivity